Most common site for metastasis in choriocarcinoma is :
1. Lungs
2. Brain
3. Liver
4. Spine

Correct answer: 1. Lungs

Explanation: Ans. is a i.e. Lungs